Which of the following monoclonal antibody is used in the treatment of Atopic dermatitis?
1. Ipilimumab
2. Dupilumab
3. Durvalumab
4. Reslizumab

Correct answer: 2. Dupilumab

Explanation: Dupilumab is a antibody against IL-4 receptor, used in the treatment of Atopic dermatitis.